Hot spot on bone scan is seen in all the following conditions except:
1. Osteomyelitis
2. Fibrous dysplasia
3. Paget's disease
4. Fibrous cortical defect

Correct answer: 4. Fibrous cortical defect

Explanation: Fibrous cortical defect - do not have osteoblastic activity.